Most commonly used immunosuppressants are :
1. Glucocorticoids
2. Cyclosporine
3. Tacrolimus
4. Methotrexate

Correct answer: 1. Glucocorticoids